True regarding galactosemia
1. There is an incidence of 1 in 6000
2. The enzyme deficiency is glucose phosphorylase
3. There is an inability to metabolize galactose and lactose
4. Diagnosis is by WBC enzyme assay

Correct answer: 3. There is an inability to metabolize galactose and lactose